Post renal transplant lymphoma is mostly associated with
1. EBV
2. CMV
3. Herpes simplex
4. HHV-6

Correct answer: 1. EBV

Explanation: EBV is a very common virus: about 9 in 10 adults have been infected with it. EBV infects B lymphocytes. Some cases of PTLD are not related to EBV (EBV-negative PTLD). They tend to occur months or years after transplant, when the risk of lymphoma is usually lower than it is in the early months after transplant. Ref Harrison20th edition pg 267